Which of the following statement is true about Net Protein Utilization?
1. It is the ratio of energy from protein to total energy in diet
2. It is the ratio of total nitrogen retained by total nitrogen intake multiplied by 100
3. It is the amount of one amino acid per gram of a protein divided by the amount of same amino acid per gram of egg protein
4. If the NPU is high the amount of protein requirement in diet is high

Correct answer: 2. It is the ratio of total nitrogen retained by total nitrogen intake multiplied by 100

Explanation: Ans. b. It is the ratio of total nitrogen retained by total nitrogen intake multiplied by 100 Net Protein Utilization is the ratio of total nitrogen rerained by total nitrogen intake multiplied by 100 (AIIMS November 2008 Repeat). Net Protein Utilization = Nitrogen retained by the body/Nitrogen intake x 100 Net Protein Utilization * NPU gives a more complete expression of protein quality and best to compare protein quality0 * It is the ratio of amino acid converted to proteins to the ratio of amino acids supplied. * Experimentally this value can be determined by determining dietary protein intake and then measuring nitrogen excretion. Net Protein Utilization = Nitrogen retained by the body/Nitrogen intake x 100 * Certain foodstuffs, such as eggs or milk, rate as 1 on an NPU chart. * The protein requirement varies with the NPU of dietary protein. If NPU is high, protein requirement is low and vice versa.